The earliest symptom in primary biliary cirrhosis is
1. Jaundice
2. Pruritus
3. Melanosis
4. Vomiting

Correct answer: 2. Pruritus

Explanation: Pruritis occurs because of deposition of bile salts in the skin, this clinical symptom occurs before the development of jaundice.